Nerve supply of adductor magnus is through:
1. Tibial part of sciatic nerve
2. Obturator nerve
3. Both
4. None

Correct answer: 3. Both

Explanation: Innervation of adductor magnus Posterior division of obturator nerve innervates most of the adductor magnus Vertical or hamstring portion innervated by tibial nerve (L2, L3, L4)